Which of the following is TRUE/FALSE about weight loss? a) Psychiatric disorders are a major cause of involuntary weight loss. b) Up to 20% of all cancer deaths are caused directly by cachexia. c) Connective tissue diseases decreases metabolic demand. d) Hyperthyroidism in the elderly have more prominent sympathomimetic features. e) Involuntary weight loss may be one of the earliest manifestations of Alzheimer's dementia.
1. a,b,c,d,e-True None-False
2. a,b,c-True & d,e-False
3. a,b,c,d-True & e-False
4. a,b,e-True & c,d,-False

Correct answer: 4. a,b,e-True & c,d,-False

Explanation: Connective tissue diseases may increase metabolic demand and disrupt nutritional balance. Hyperthyroidism in the elderly may have less prominent sympathomimetic features and may present as "apathetic hyperthyroidism" or T3 toxicosis Ref:Harrisons Principles of Internal Medicine, 18th Edition, Pages 642- 44